Complications of total throidectomy include all except
1. Hoarseness of voice
2. Airway obstruction
3. Hemorrage
4. Hypercalcaemia

Correct answer: 4. Hypercalcaemia

Explanation: .Rates of post procedure hypocalcemia are approximately 5%, and it resolves in 80% of cases in approximately 12 months Other complications include haemorrhage , damage to reccurent laryngeal nerve and superior laryngeal nerve. Respiratory obstruction due to laryngeal oedema or very rarely due to collapse or kinking of the trachea (tracheomalacia). Source : Bailey and Love 26th edition Pg: 762